Next Investigation to be done for painful breast lump in a lactating woman
1. Mammography
2. USG
3. MRI
4. FNAC

Correct answer: 2. USG

Explanation: Ans. (b) USGRef: Bailey & Love 26th ed. / 527* Breast abscess is highly probable in this lactating patient. Ultrasonography is used to distinguish solid from cystic structures and to direct needle aspiration for abscess drainage.* Ultrasound is the imaging method of choice for the majority of women aged < 40 years and during pregnancy and lactation.* Breast MRI does not form part of the initial imaging assessment of patients in the symptomatic breast clinic. It may, however, be useful in the further investigation of some breast lesions and in the evaluation of patients with confirmed breast cancer.